Patient with BP 90/60 mmHg, lips and peripheries are cyanosed; blood drawn was chocolate color. Diagnosis is:
1. Methemoglobinemia
2. Hypovolumic shock
3. Metal fume fever
4. Alphos poisoning

Correct answer: 1. Methemoglobinemia

Explanation: Ans. Methemoglobinemia